Muscles of the tongue are derived from:
1. 1st pharyngeal swelling
2. Lateral lingual swelling
3. Occipital myotomes
4. Preoptic myotome muscles

Correct answer: 3. Occipital myotomes